Cushing reflex, there is
1. Increased BP and Increased heart rate
2. Increased BP and Decreased heart rate
3. Decreased BP and Decreased heart rate
4. Decreased BP and Increased heart rate

Correct answer: 2. Increased BP and Decreased heart rate

Explanation: Cushing reflex tends to restore the blood flow to the medulla. Over a considerable range, the blood pressure rise is proportional to the increase in intracranial pressure. The rise in blood pressure causes a reflex decrease in heart rate the arterial baroreceptors. This is why bradycardia rather than tachycardia is characteristically seen in patients with increased intracranial pressure. Ref: Ganong's Review of medical physiology 25th edition. Page: 593